Which of the following is not true about medullary carcinoma of thyroid ?
1. Origin is from 'C' cells of thyroid
2. Component of MEN- 1
3. Multicentric in origin
4. Amyloid deposition

Correct answer: 2. Component of MEN- 1

Explanation: Medullary carcinoma of thyroid is a neuroendocrine neoplasm which is multicentric and derived from C cells of thyroid. It is characterised by acellular amyloid deposits derived from calcitonin in stroma of the cells. It is a component of MEN 2A or MEN 2B and not MEN 1. Ref: Robbins and cotrans 9e Pg 1099 Ref IMG